Russell bodies are seen in
1. A. Lymphocytes
2. B. Neutrophils
3. C. Macrophages
4. D. Plasma cells

Correct answer: 4. D. Plasma cells

Explanation: They are homogeneous eosinophillic inclusions that result from hugely distended endoplasmic reticulum